What is an emergency screw?
1. A screw that is used in cases of emergency fracture management for direct application across bone segments, like fracture during third molar extraction
2. The next largest outer thread diameter screw, that is used when the hole is drilled too large for the chosen screw
3. A compression screw that used with DCP when one or more screws are not available
4. A long, wide screw that can be used in any circumstance, regardless of type or location of fracture

Correct answer: 2. The next largest outer thread diameter screw, that is used when the hole is drilled too large for the chosen screw

Explanation: Emergency screw is also called salvage screw